All the given muscles help in inversion of foot except:
1. Tibialis anterior
2. Tibialis posterior
3. Extensor hallucis longus
4. Peroneus longus

Correct answer: 4. Peroneus longus

Explanation: Ans. D. Peroneus longus* Peroneus longus and brevis are major evertors of the foot whereas running to the medial side of ankle (of both anterior and posterior compartment) like tibialis anterior, flexor digitorum longus, and long tendons of great toe act as invertors of foot.* Inversion: Medial border of the foot is raised so that the sole faces inside.* Eversion: Lateral border of the foot is raised so that the sole faces outside.* Inversion and eversion occur mainly at intertarsal joint.* Major movements occur at Talo-calcaneo-navicular joint.* Other involved joints are transverse tarsal/midtarsal joints.